Colon contains -
1. Parietal cells
2. Chief cells
3. Brunner's gland
4. Goblet cells

Correct answer: 4. Goblet cells

Explanation: Ans. is 'd' i.e., Goblet cells o Large intestine (colon) contains large number of goblet cells,Part of gutHistological featureStomachGastric pits and glands. Gastric glands contain (from above downwards): Mucus neck cells, parietal cells, chief cells.DuodenumBrunner's glands in the submucosaJejunumSolitary lymphoid nodulesIleumSubmucosal aggregated lymphoid tissue, called Peyeds patchesLarge intestineCrypts of Lieberkuhn and large number of goblet cells. Paneth (zymogen) cells lie at the deepest part of the crypts.o Chief cells secrete pepsin and gastric lipaseQ.o Parietal cells secrete acid and intrinsic factor of Castleo Paneth cells are rich in zincQ and Rough endoplasmic reticulum and their secretory granules contain lysozyme, defensins and TNF alpha.